All are true about Balantidium coli except:
1. It is a protozoa
2. Cyst is the infective stage
3. Usually invades liver
4. It is the largest protozoan parasite inhabiting large intestine in man

Correct answer: 3. Usually invades liver

Explanation: Balantidium coli Only ciliate protozoa and the largest causing human disease (ciliate dysentery). Infective stage: binucleate cyst; spherical, ellipsoid, 50-75mm, double layered cyst wall. The invasive form is the trophozoite - 80-120mm; two nuclei (macronucleus, micronucleus), peristome, cytostome, cytopharynx, cytopyge.